The chemoprophylaxis in malaria is an example of -
1. Primary prevention
2. Secondary prevention
3. Primordial prevention
4. Tertiary prevention

Correct answer: 1. Primary prevention

Explanation: -The aim of the primary preventive is to reduce the incidence of the disease. - primary prevention is achieved through health promotion and specific protection. - chemoprophylaxis of malaria is a measure under specific protection which aimed at limiting the number of cases. Reference : Park's textbook of preventive and social medicine, 23rd edition, pg no:42,43